Chances of adverse outcome in a heart disease patient are increased in all of the following periods except
1. First 4weeks of Pregnancy
2. At the time of labor
3. 4-5 days after delivery
4. 28-32 weeks of pregnancy

Correct answer: 1. First 4weeks of Pregnancy

Explanation: Period of pregnancy during which a heart disease patient has high chance of adverse outcome

12 to 16 wks of pregnancy
28 to 32 wks of pregnancy
During Labor
Immediately after delivery
4 to 5 days after delivery